Upper segment to lower segment ratio in 3 years age child is:
1. 1.2:1
2. 1.3:1
3. 1.4:1
4. 1.6:1

Correct answer: 2. 1.3:1

Explanation: b. 1.3:1(Ref: Nelson's 20/e p 2643, Ghai 8/e p 35-37)Normal upper segment to lower segment ratio in children:Newborn 1:7-1.9:1=3years-1:3:1=7years-1:1Q.